To make the vinyl polysiloxane hydrophilic the following is added:
1. Mineral oil
2. Surfactant
3. Water
4. Plasticizer

Correct answer: 2. Surfactant